Clinically in the non-injured eye, sympathetic ophthalmitis may manifest as:
1. Acute plastic iridocyclitis
2. Neuroretinitis
3. Choroiditis
4. All of the above

Correct answer: 4. All of the above

Explanation: Ans. All of the above